Shrinking lung syndrome is seen in
1. Tuberous sclerosis
2. Scleroderma
3. Diabetes mellitus
4. Systemic lupus erythematosus

Correct answer: 4. Systemic lupus erythematosus

Explanation: Shrinking lung syndrome is a rare manifestation/complication of SLE Characterised by diaphragmatic weakness or dysfunctionAssociated with restrictive physiology and abnormalities of ventilation The restriction is due to the selective weakness of muscles of respiration including the diaphragmThe absence of overt parenchymal or vascular diseaseAnti-Ro antibodies may be present, but not offer an additional diagnostic aidPrognosis of this syndrome is often goodRef: Davidson 20/e p723